Peripheral pulmonic stenosis is associated with
1. Subaortic stenosis
2. Takayasu's arteritis
3. William syndrome
4. Coarctation of syndrome

Correct answer: 3. William syndrome

Explanation: Answer is C and E (William syndrome and Rubella) Peripheral pulmonic stenosis is often associated with various congenital and acquired conditions including Rubella and williams syndrome.